Maximum liver toxicity is seen with which anti -TB drug?
1. Isoniazid
2. Rifampicin
3. Pyrazinamide
4. Streptomycin

Correct answer: 3. Pyrazinamide

Explanation: Ans. is 'c' i.e., Pyrazinamide Three first line antitubercular drugs are associated with hepatotoxicity :? i) Rifampicin ii) INH iii) Pyrazinamide Of the three, rifampicin is least likely to cause hepatocellular damage, although it is associated with cholestatic jaundice. Pyrazinamide is the most hepatotoxic of the first line drugs. Among the second-line drugs, ethionamide, PAS and protionamide can also be hepatotoxic, although less so than any of the first line drugs.